After oesophagectomy, best substitute of oesophagus is -
1. Stomach
2. Jejunum
3. Left colon
4. Rt colon

Correct answer: 1. Stomach

Explanation: "After a poion of esophagus is removed or after complete esophagectomy, a conduit must be established for alimentary continuity. The stomach, colon and jejunum have all been successfully used as esophageal substitutes, but the stomach appears to be the conduit of choice because of ease in mobilization and its ample vascular supply." S "The stomach is the most widely used and preferred organ for esophageal replacement after esophagectomy for cancer." Ref : Sabiston 18/e p1104